Component of tubercle bacilli which produces granuloma is
1. Surface glycolipids
2. Sulfatide
3. Hetero polysaccharide
4. Sulfadase

Correct answer: 1. Surface glycolipids